Mutation of STK 11 and LKB 1 gene is associated with?
1. Familial adenomatous polyposis
2. Hereditary nonpolyposis colorectal cancer
3. Peutz - Jeghers syndrome
4. Neurofibromatosis

Correct answer: 3. Peutz - Jeghers syndrome

Explanation: STK11 is a tum or suppressor gene, in that its over-expression can induce a growth arrest of a cell at the GI phase of the cell cycle and that somatic inactivation of the unaffected allele of STK11 is often observed in polyps and cancers from patients with Peutz-Jeghers syndrome. The second gene involved in Peutz-fegher's polyps is caused by germ-line mutations in the LKB1 gene. Loss of the APC tumor suppressor gene in FAP and Gardner syndrome give rise to hundreds of adenomas that progress to form cancers MALT lymphoma a t(ll; 18) translocation is common (the translocation creates a fusion gene between the apoptosis inhibitor BCL-2 gene in chromosome 11 and the M LT gene in chromosome 18.